On performing refraction using a plane mirror on a patient who has a refractive error of –3 D sphere with –2 D cylinder at 900 from a distance of 1 metre under no cycloplegia, the reflex would be seen to move –
1. With the movement in the horizontal axis and against the movement in the vertical axis
2. With the movement in both the axes
3. Against the movement in both the axes
4. With the movement in the vertical axis and against the movement in horizontal axis

Correct answer: 3. Against the movement in both the axes

Explanation: This patient has a refractive error of

i) - 3D in one meridian
ii) - 2D in meridian 90° to the previous one

So, the patient has a refractive error which is different in different media → Patient is having astigmatism, especially compound myopic astigmatism as myopia is present in both the media.
As myopia > 1D is there in both vertical and horizontal axes, the pupillary real reflex will move against the movement of retinoscope in both axes.